Feature of Torsade de pointes is
1. Wide QRS complex
2. Short QRS complex
3. Prolonged QT interval
4. Short QT interval

Correct answer: 3. Prolonged QT interval

Explanation: Polymorphic VT that occurs in the context of congenital or acquired prolongation of the QT interval often has a waxing and waning QRS amplitude creat- ing a "twisting about the points" appearance referred to as Torsade de Pointes Ref Harrison 20th edition pg 1443